Which of the following is the indication for rilpivirine?
1. HIV
2. Hepatitis C
3. Hepatitis B
4. Influenza A

Correct answer: 1. HIV

Explanation: Rilpivirine is the new drug approved for HIV. It is considered as 2nd gen NNIRef: HL Sharma 3rd ed Pg: 808